Cartilaginous part of the external auditory canal is?
1. Medial 1/3
2. Lateral 1/3
3. Medial 2/3
4. Lateral 2/3

Correct answer: 2. Lateral 1/3

Explanation: Lateral one-third (8mm) of the total external auditory canal (24mm) is cartilaginous. Reference: Dhingra 6th edition